Osteoporosis is an ADR of which antidiabetic?
1. Metformin
2. Glibenclamide
3. Pioglitazone
4. Acarbose

Correct answer: 3. Pioglitazone

Explanation: Risk of osteoporosis is high for glitazone users when compared to people who are on other anti diabetic drugs. Ref: KD Tripathi 8th ed.